Social mobility is
1. From rural to urban areas
2. Industrialization
3. Interaction between cultures
4. Movement in socio economic status

Correct answer: 4. Movement in socio economic status

Explanation: Social mobility Indian society is rigidly based on caste system. There is little social mobility, i.e., people do not change their caste or religion. In other words, Indian society is. a "closed-class" system. There are societies known as the "open class societies" where movement of the social ladder is unrestricted, on the basis of achievement or gaining wealth. Open class societies are therefore more progressive where people according to their ability can go up the social ladder. In closed-class systems, it is difficult to make reforms without meeting resistance of the people. Ref : Park 23rd edition Pgno : 725